Inheritance pattern of myotonic dystrophy is ?
1. Autosomal recessive
2. Autosomal dominant
3. X linked dominant
4. X linked recessive

Correct answer: 2. Autosomal dominant

Explanation: Ans. is `b' i.e., Autosomal dominant Myotonic dystrophy Myotonic dystrophy is an autosomal dominant multisys- tem disorder associated with skeletal muscle weakness, cataracts, endocrinopathy, and cardiomyopathy